A young lady lost her job, loss of appetite wakes up at 3 am. What's the diagnosis
1. Depression
2. Schizophrenia
3. OCD
4. Mania

Correct answer: 1. Depression

Explanation: In this question, the details are inadequate, however among the given options the best answer is A, depression